Naltrexone is used for which of the following poisoning -
1. Heroin
2. Atropine
3. Cannabis
4. Diazepam

Correct answer: 1. Heroin

Explanation: Ans. is 'a' i.e., Heroin o Naltrexone is used in opioid poisoning and amongst the given options only heroin is an opioid. o Naltrexone is used orally for maintenance therapy in opioid poisoning, once it has been treated with naloxone. So, Naloxone : DOC for acute opioid (morphine) poisoning Naltrexone : Used for maintenance